The duct(s) of gland(s) opening into the floor of the mouth is (are):
1. Submandibular and sublingual
2. Submandibular and parotid
3. Sublingual and parotid
4. Von Ebner

Correct answer: 1. Submandibular and sublingual